Most important prognostic indicator for Renal cell carcinoma:
1. Nuclear grade
2. Histological type
3. Size
4. Pathological staging

Correct answer: 4. Pathological staging

Explanation: Ans is 'd' i.e. Pathological staging Ref: Campbell-Walsh Urology 9/e Section XII- Neoplasms of the upper urinary tract, Chapter 47; 8/e p1604 "Pathologic stage has proved to be the single most important prognostic factor for RCC. Various studies have shown a strong correlation between Robson's pathologic stage and 5-year survival rates for RCC. Similar but more discerning results have been reported for tumors staged with the TNM classification system, confirming that the extent of locoregional or systemic disease at diagnosis is the primary determinant of outcome for this disease."- Campbell- Walsh Urology 9/e Section XII- Neoplasms of the upper urinary tract, Chapter 47; 8/e p1604